Amount of invisible fat in rice is:
1. 1%
2. 2%
3. 3%
4. 5%

Correct answer: 3. 3%

Explanation: Small quantities of fats are found in foods such as cereals, pulses etc. Amount of this invisible fat in rice and wheat is 3%, in bajra is 6.5% Ref: Park 22nd edition, page 566